A 5 year old boy has recurrent infections. low platelet count and rash as shown below. What is the likely diagnosis?
1. Severe Combined Immunodeficiency
2. Job Syndrome
3. Bruton's Agammaglobulinemia
4. Wiskott Aldrich Syndrome

Correct answer: 4. Wiskott Aldrich Syndrome

Explanation: The above clinical picture is suggestive of Wiskott aldrich syndrome Wiskott aldrich syndrome - X-linked disorder Defect in WASP gene (Chromosome X p 11) Clinical features -Triad of Eczema Recurrent infections Thrombocytopenia with small platelets Diagnosis - Platelets - small and decreased in number IgM - low IgE and IgA - Elevated